Not a direct cause of maternal mortality
1. Hemorrhage
2. Sepsis
3. Hypertension
4. Heart disease

Correct answer: 4. Heart disease